True about M. tuberculosis is -
1. Strict aerobes
2. Gram negative
3. Thin cell wall
4. all

Correct answer: 1. Strict aerobes

Explanation: Ans. is 'a' i.e., Strict aerobes Morphology . M. tuberculosis is an obligate aerobe. . M. tuberculosis is a straight or slightly curved rod. . Electron micrograph of thin section show that thick cell wall is composed of three layers enclosing a trilaminar plasma membrane. . M. tuberculosis is Gram positive.